BAL is used as an antidote poisoning by -
1. Morphine
2. Aconite
3. Phenol
4. Mercury

Correct answer: 4. Mercury